Moh's Micrographic excision for basal cell carcinoma is used for all of the following except
1. Recurrent Tumour
2. Tumor less than 2 cm in diameter
3. Tumors with aggressive histology
4. Tumors with perineural invasion

Correct answer: 2. Tumor less than 2 cm in diameter

Explanation: .* MOHS (Microscopically Oriented Histographic Surgery) is useful to get a clearance margin and in conditions like BCC close to eyes, nose or ear, to preserve more tissues. MOHS is becoming popular in BCC/dermatofibrosarcoma protuberans/ melanoma. Indications for surgery: * Rodent ulcer eroding into cartilage or bone * BCC close to the eye * Recurrent BCC ref:SRB;s manual of surgery,ed 3,pg no 254